Kata Thermometer is used to measure ?
1. Maximum temperature
2. Minimum temperature
3. Radiant heat
4. Cooling power of air

Correct answer: 4. Cooling power of air

Explanation: Ans. is 'd' i.e., Cooling power of air